Which type of the pelvis is associated with increased incidence of face to pubis delivery?
1. Gynecoid pelvis
2. Anthropoid pelvis
3. Android pelvis
4. Platypelloid pelvis

Correct answer: 2. Anthropoid pelvis

Explanation: Anthropoid pelvis : AP diameter is more than that of transverse diameter Direct occipitoposterior position is more common Non-rotation is common More incidence of Face to pubis delivery Ref: Datta Obs 9e pg 325.